The adverse effect of clozapine -
1. Hypertension
2. Sialorrhea
3. Extrapyramidal S/E
4. Neuroleptic malignant syndrome

Correct answer: 2. Sialorrhea

Explanation: Side effects of clozapine

Agranulocytosis
Urinary incontinence
Unstable BP & Tachycardia
Hypersalivation (sialorrhoea)
Worsening of diabetes
Weight gain
Seizures
Sedation